ASA grading is to assess?
1. Cardiac status
2. Respiratory status
3. Risk factors
4. Mental status

Correct answer: 3. Risk factors

Explanation: Ans is 'c' i.e. risk factors * ASA is the simplest and most widely used system for describing patient's physical status to assess the risk factors before anaesthesia.* Brain dead patient is ASA grade-2.American society of anaesthesiologist (asa) classification* ASA classification is for the Preoperative assessment to quantify the risk for patients who require anaesthesia for surgery. This is the simplest and most widely used system for describing patient's physical status (Rajasthan 01). Based on physical status, the patients are classified into six categories. The morbidity and mortality ishighest in grade V patients and minimum is grade I patients.ASA GradePatient conditionASA 1Normal healthy patient (no physical or mental illness)ASA 2Mild systemic disease not limiting functional activity(mild heart disease, DM Mild hypertension, Anemia, Old age, obesity, mild chronic bronchitis)ASA 3Severe systemic disease that limits activity but not incapaciating (Angina,Severe DM, cardiac failure)ASA 4Severe systemic disease that is life-threatening(Marked cardiac insufficiency; presistent angina; severe renal, respiratory or hepatic insufficiency)ASA 5Moribund patient who is not expected to survive whthout operationASA 6Brain dead patient (for organ donation)